Osteomas common in which of the following sinus?
1. Frontal
2. Ethmoid
3. Maxillary
4. D Sphenoid

Correct answer: 1. Frontal

Explanation: Ref: Diseases of the Ear Nose and Throat by PL Dhingra.5th edn .2010 page page 219Explanation:Sinus OsteomasOsteomas are most common in Frontal followed by ethmoid and then maxillary sinusesMost are asymptomatic and detected incidentally on radiology of the sinusesMay become symptomatic when they obstruct the sinus Ostia leading to sinusitis or mucocele formationMay also cause pressure symptoms on the orbit, nose or craniumIncidence of Osteoma in Paranasal SinusFrontal sinuses: 80%Ethmoid air cells: ~ 15%Maxillary sinuses: ~ 5%Sphenoid sinus: rareSub typesOsteomas are, as the name suggests, osteogenic tumours composed of mature bone. Three histological patterns are recognised1. Ivory osteomaalso known as eburnated osteomamost commondense bone lacking haversian system2. Mature osteomaalso know n as osteoma spongiosumresembles 'normal' bone, including trabecular bone often with marrow13. Mied osteomamixture of ivory and mature histologyAssociationsThere is a well recognised association with the Gardner syndromeApproximately 30% of patients have a history of rhinosinusitis